Size of uterus in inches is :
1. 5x4x2
2. 4x3x1
3. 3x2x1
4. 4x2x1

Correct answer: 3. 3x2x1

Explanation: 3x2x1